Insulin promotes lipogenesis by all except
1. Decreasing cAMP
2. Increase glucose uptake
3. Inhibiting pyruvate dehydrogenase
4. Increasing acetyl CoA

Correct answer: 3. Inhibiting pyruvate dehydrogenase

Explanation: BE CAREFUL: Questions says EXCEPT Insulin: Decreases cAMP Increases glucose uptake into peripheral tissues by recruiting GLUT-4 Increase the formation of Acetyl CoA by increasing the action of enzyme - Pyruvate Dehydrogenase i.e. Link reaction So, option C is wrong as insulin activates enzyme of Link reaction i.e. Pyruvate Dehydrogenase (not inhibits). Extra information: Insulin activates: All Anabolic pathways (HMP, Glycogenesis, Fatty Acid Synthesis, Cholesterol Synthesis and TG Synthesis). Two Catabolic pathway enzymes i.e. Glycolysis and Link reaction.